A 18-month old baby presents with recurrent episodes of excessive crying followed by cyanosis, unconsciousness and occassional seizures since 9 months of age. The most likely diagnosis is -
1. Epilepsy
2. Anoxic spells
3. Breath holding spells
4. Vasovagal attack

Correct answer: 3. Breath holding spells

Explanation: Ans. is 'c' i.e., Breath holding spells